All of the following decrease in nephrotic syndrome except
1. Thyroxin
2. Transferrin
3. Fibrinogen
4. Albumin

Correct answer: 3. Fibrinogen

Explanation: Refer Robbins page no 8/e 922The largest proportion of protein lost in the urine is albumin, but globulins are also excreted in some diseases. The ratio of low- to high-molecular-weight proteins in the urine in various cases of nephrotic syndrome is a manifes- tation of the selectivity of proteinuria. A highly selective pro- teinuria consists mostly of low-molecular-weight proteins (albumin, 70 kD; transferrin, 76 kD molecular weight), whereas a poorly selective proteinuria consists of higher molecular-weight globulins in addition to albumin.